Taste buds are absent in
1. Fungiform papillae
2. Circumvallate papillae
3. Filiform papillae
4. Foliate papillae

Correct answer: 3. Filiform papillae